Venterolateral cordotomy for relief of pain in right lower limb due to cutting
1. Left ventral spinothalamic tract
2. Left lateral spinothalamic tract
3. Right ventral spinothalamic tract
4. Right lateral spinothalamic tract

Correct answer: 2. Left lateral spinothalamic tract

Explanation: Sensations carried by the posterior column
-        Proprioception, Vibration, kinesthesia, fine touch.
Sensations carried by the anterolateral column
-        Temperature, pain (lateral) and crude touch (anterior)
Crossing over of fibers occurs in case of the anterolateral system.